3rd and 4th lumbrical (lateral two lumbricals) of foot are supplied by -
1. Medial plantar nerve
2. Lateral plantar nerve
3. Peroneal nerve
4. None of the above

Correct answer: 2. Lateral plantar nerve

Explanation: Ans. B. Lateral plantar nerveThe Tibial nerve has 2 terminal branches which supply the intrinsic muscles of the foot-1) Medial plantar nervea. The medial plantar nerve is the larger terminal division of the tibial nerve, and lies lateral to the medial plantar artery. From its origin under the flexor retinaculum, it passes deep to abductor hallucis, then appears between it and flexor digitorum brevis, gives off a medial proper digital nerve to the hallux, and divides near the metatarsal bases into three common plantar digital nerves.b. Cutaneous supply the skin of the sole of the foot. Muscular branches supply abductor hallucis, flexor digitorum brevis, flexor hallucis brevis and the first lumbrical. The first two arise near the origin of the nerve and enter the deep surfaces of the muscles. The branch to flexor hallucis brevis is from the medial digital nerve, and that to the first lumbrical from the first common plantar digital nerve. Articular branches supply the joints of the tarsus and metatarsus.c. The common digital branches of the medial plantar nerve are distributed in a manner similar to those of the median nerve. The abductor hallucis, flexor hallucis brevis and the first lumbrical are all supplied by the medial plantar nerve.d. Flexor digitorum brevis and flexor digitorum superficialis (innervated by the median nerve) correspond, but the innervation of the second lumbrical of the foot does not mirror the arrangement in the hand.2) Lateral plantar nervea. The lateral plantar nerve supplies the skin of the fifth toe, the lateral half of the fourth toe, and most of the deep muscles of the foot. Its distribution therefore closely resembles that of the ulnar nerve in the hand.b. It passes laterally forwards medial to the lateral plantar artery, towards the tubercle of the fifth metatarsal. Next, it passes between flexors digitorum brevis and accessorius, and ends between flexor digiti minimi brevis and abductor digiti minimi by dividing into superficial and deep branches. Before division, it supplies flexor digitorum accessorius and abductor digiti minimi and gives rise to small branches that pierce the plantar fascia to supply the skin of the lateral part of the sole.c. The superficial branch splits into two common plantar digital nerves: the lateral supplies the lateral side of the fifth toe, flexor digiti minimi brevis and the two interossei in the fourth intermetatarsal space; the medial connects with the third common plantar digital branch of the medial plantar nerve and divides into two to supply the adjoining sides of the fourth and fifth toes.d. The deep branch accompanies the lateral plantar artery deep to the flexor tendons and adductor hallucis and supplies the second to fourth lumbricals, adductor hallucis and all the interossei (except those of the fourth intermetatarsal space). Branches to the second and third lumbricals pass distally deep to the transverse head of adductor hallucis, and curl round its distal border to reach them.